Which of the following germ cell tumor is malignant -
1. Leydig cell tumor
2. Sertoli cell tumor
3. Seminoma
4. Dermoid cyst

Correct answer: 3. Seminoma

Explanation: Ans. is 'c' i.e., Seminoma [Ref: Devita p. 983}o Among the given options only options c & d are germ cell tumors. Seminoma is malignant while dermoid cyst is benign.Germ cell tumoursMalignantBenignGerminoma (seminoma, dysgerminoma),Mature teratoma,embryonal carcinoma, endodermal sinusdermoid cysttumor (yolk sactumor), choriocarcinoma, immature teratoma